Portal of entry of poliovirus in mainly -
1. Gastrointestinal tract
2. Nasal mucosa
3. Lung
4. Skin

Correct answer: 1. Gastrointestinal tract